Mycosis fungoides is a:
1. Cutaneous T-cell lymphoma
2. T-cell and B-cell lymphoma
3. B cell Lymphoma
4. Derived from stem cell

Correct answer: 1. Cutaneous T-cell lymphoma

Explanation: Cutaneous T-cell lymphoma